Wrist joint is formed by articulation of -
1. Lower end of radius and carpal bones
2. Lower end of radius, articular disc and carpal bones
3. Lower end of radius and ulna, and carpal bones
4. Lower end of radius and intercarpal joint or inferior radioulnar joint

Correct answer: 2. Lower end of radius, articular disc and carpal bones

Explanation: Components of wrist joint
-        Distal end of radius
-        Articular disc of inferior radioulnar joint
-        Scaphoid, lunate, triquetral.